Which technetium is most commonly used in bone pathology?
1. 99m Tc MDP
2. 99mTc Sestamibi
3. 99m Tc Exametazime
4. 99m Tc Pyrophosphate

Correct answer: 1. 99m Tc MDP

Explanation: Technetium (99mTc) medronic acid is a pharmaceutical product used in nuclear medicine to localize hone metastases as well as other diseases that can alter the normal osteogenesis in bone. 99mTc-medronate

Aka 99mTc-methylene diphosphonate, or 99mTc-MDP
FDA approved imaging agent to investigate extra-skeletal osteogenesis (Metastasis)